Most appropriate investigation for angiofibroma is -
1. Angiography
2. CT scan
3. MRI scan
4. Plain X- ray

Correct answer: 2. CT scan

Explanation: CT scan of the head with contrast:- is the investigation of choice. It shows the extent of tumor, bony destruction, or displacement. Anterior bowing of the posterior wall of maxillary sinus (antral sign or Holman-Miller sign) is pathognomonic of JNA.